A person undergone appendisectomy. On post op day 10 he died, postmortem patholist found gossypiboma. It is a case of –
1. Homicide
2. Criminal negligence
3. Suicide
4. None of the above

Correct answer: 2. Criminal negligence

Explanation: Criminal negligence includes gross absence of care and skill by doctor through commission or omission or when the doctor performs an illegal act.